A 9 months old previously healthy infant was brought with complaints of fever of 12 hours' duration along with a running nose and an episode of generalized tonic clonic movements lasting for 34 minutes. Child was brought to the emergency within 1 hour. Child was observed in the emergency and was found to be alert active and playful after the fever came down. The most probable diagnosis in this infant is:
1. Febrile convulsions
2. Transient myoclonic epilepsy
3. Hypocalcemia
4. Hypernatremia

Correct answer: 1. Febrile convulsions

Explanation: Ans. A. Febrile ConvulsionsFebrile convulsions are the commonest provoked seizures affecting 3-5% children. They are defined as seizures. During fever occurring between 6 months and 5 yr. age in the absence of infection of the central nervous system in a neurologically normal child. Febrile seizures are frequently genetically determined. The convulsions are not related to the degree of temperature, but are frequent if temperature rises abruptly. Febrile convulsions may be (i) simple, benign; or (ii) atypical, complex. Lumbar puncture should be performed in the first episode of febrile seizure, in infants below 1 yr who are not immunized with Hib and pneumococcal vaccine, In all patients with febrile convulsions, a lumbar puncture is not required routinely. EEG and neuroimaging have no role in febrile seizures.